Which one of the following is a Benzodizapine Antagonist?
1. Flumazenil
2. Methadone
3. Atropine
4. Naloxone

Correct answer: 1. Flumazenil

Explanation: (A) Flumazenil # Flumazenil, a 1,4-imidazobenzodiazepine, is an antagonist that can reduce or terminate benzodiazepine effects in a dose-dependent manner.> Antagonist acts by the competitive inhibition of benzodiazepines at their central nervous system receptor sites> Naloxone is an opioid antagonist> Methadone is a synthetic opioid used medically as an analgesic and as a maintenance antiaddictive for use in patients with opioid dependence.